Charas is?
1. Cannabis
2. Cocaine
3. LSD
4. Smack

Correct answer: 1. Cannabis

Explanation: Ans. is 'a' i.e., Cannabis o Cannabis, also known as marijuana, is obtained from the flowering tops and leaves of the Indian Hemp plant or cannabis indica (Cannabis sativa).o Preparation of cannabis are Bhang, Ganja and hashish (charas).o The psychoactive substance of cannabis and its preparations is tetrahydrocannabinol (THC).FormPart of cannabis sative/indica from which obtainedBhangDried leaves and fruit shoots.GanjaDried flowering tops of female plant.Charas (Hashish)Resinous exudates from leaves and stem of plant.